Privileged communication can be made by a doctor in-
1. Notifiiable disease
2. HIV case
3. Malignant conditions
4. Divorce case

Correct answer: 1. Notifiiable disease

Explanation: Privileged communication: This is the only exception to professional secrecy. Applied when it's done for: Patient's interest - in case of suicidal tendencies Self-interest - can reveal in court of law Community interest -39 CrPC - In case of any crime - Inform police: Notifiable disease Infectious disease (e.g. - enteric fever of chief, epilepsy of a driver etc.)